Untrue about 3rd part of duodenum is -
1. 10 cm in length
2. Derived from foregut
3. Superior mesenteric artery passes anterior to it
4. Lying posterior are inferior vena cava and aorta

Correct answer: 2. Derived from foregut